Arrest disorder is defined as the cessation of cervical dilatation in active phase of labor of more than:
1. 1 hour
2. 1.2 hours
3. 1.5 hours
4. 2 hours

Correct answer: 4. 2 hours

Explanation: Ans. D. 2 hours* Secondary arrest is defined when the active phase of labor (cervical dilatation) commences normally but stops or slows significantly for 2 hours or more prior to the full dilatation of the cervix.* It is commonly due to malposition or cephalopelvic disproportion.'Cessation of active phase of dilatation by more than 2 hours is defined as arrest' Danforth.